All are sporicidal except:
1. Lysol
2. Glutaraldehyde
3. Ethylene dioxide
4. Formaldehyde

Correct answer: 1. Lysol